Blood form of folic acid is -
1. Folinic acid
2. Pteroglutamate
3. Methyl THE
4. None

Correct answer: 3. Methyl THE

Explanation: Ans. is 'c' i.e., Methyl THE Folic acid is absorbed in the jejunum. Following absorption, folic acid is transported in blood by two (3-globulins. The major circulating form is methyltetrahydrofolate and the normal concentration range is 5-15 ng/ml. Once it arrives in the liver, the methyl derivates are taken up by hepatocytes where various coenzyme are produced. o Folic acid is not stored in the body. Remembers Major circulating form of folic acid --0 methyl THE Major point of entery for 1 carbon transfer by substitued folate -4 methylene THE